Which of the following area lies immediately lateral to the anterior perforating substance?
1. Uncus
2. Orbital gyrus
3. Optic Chiasma
4. Limen Insulae

Correct answer: 4. Limen Insulae

Explanation: Anterior perforating substance is an irregularly quadrilateral area in front of the optic tract and behind the olfactory trigone, from which it is separated by the fissure prima; medially and in front, it is continuous with the subcallosal gyrus; it is bounded laterally by Limen insulae of the olfactory tract and is continued into the uncus.